While performing culdocentesis in female patient ,needle should be most efficiently inserted through which of the following structures ?
1. Anterior fornix of the vagina
2. Posterior fornix of the vagina
3. Anterior wall of the rectum
4. Posterior wall of the uterine body

Correct answer: 2. Posterior fornix of the vagina

Explanation: A needle should be inserted through the posterior fornix, just below the posterior lip of cervix while the patient is in supine position, to aspirate abnormal fluid irt the cul-de-sac of Douglas(rectouterine pouch). Rectouterine excavation is not most efficiently aspirated by puncture of other structures.